Thierisch graft is which type of graft
1. Partial thickness
2. Full thickness
3. Pedicle
4. Patch

Correct answer: 1. Partial thickness

Explanation: Ans. a (Partial thickness). (Ref. Bailey and Love, 25th/pg. 395)SPLIT THICKNESS (THIERSCH)FULL THICKNESS (WOLFE)Donor site factor; 1 Large area availableSmaller area available2 Donor site heals spontaneouslyDonor site must be closed3 Reusable donor siteDonor site scarsReceipient site factors; 1 Poor colour matchGood colour match2 Easily abradedAbrasion resistant3 Inferior cosmetic resultsGood cosmetic results4 More reliable takeLess reliable take5 Shiny texture, inelasticNormal texture, elasticNote: Wolfe's graft is a whole (full) thickness graft, Used for smaller areas of skin replacement where good elastic skin that will not contract is required (such as fingers, eyelids, facial parts).